Mastoid reservoir phenomenon is positive in -
1. CSOM
2. Petrositis
3. Coalescent otitis media
4. Coalescent mastoiditis

Correct answer: 4. Coalescent mastoiditis

Explanation: Mastoid reserve phenomenon is filling up of meatus with pus immediately after cleaning. It is seen in mastoiditis.
Ref. SK De, p 107, 98